C1 esterase inhibitor deficiency causes -
1. Neisseria infection
2. Hereditary angioneurotic edema
3. Hemolytic disease
4. Hemolytic uremic syndrome

Correct answer: 2. Hereditary angioneurotic edema

Explanation: Ans. is 'b' i.e., Hereditary angioneurotic edema o Hereditary angioneurotic edema is due to Ci inhibitor (Cj esterase inhibitor) deficiency.Complement Deficiencies and Associated DiseasesComponentAssociated DiseasesCLASSIC PATHWAYClq,Clr,ClS,C4C2Cl inhibitorImmune-complex syndromes, "pyogenic infections"Immune-complex syndromes, "few with pyogenic infections"Rare immune-complex diseases, few with pyogenic infections,Hereditary angioneurotic edemaC3 AND ALTERNATIVE PATHWAYC3.C3DProperdinIHImmune-complex syndrome, "pyogenic infections", Neisseria infectionsPyogenic infections. Neisseria infectionsNeisseria infectionsPyogenic infectionsHemolytic uremic syndromeMEMBRANE ATTACK COMPLEXC5, C6, C7, C8C9Recurrent Neisseria infections, immune-complex diseaseRare Neisseria infections